Action of Antidote of heparin (Protamine) is based on:
1. Competitive antagonism
2. Chemical antagonism
3. Non competitive antagonism
4. Toxic reaction

Correct answer: 2. Chemical antagonism

Explanation: Chemical antagonism